MC joint involved in Gout -
1. Knee
2. Hip
3. MP joint of the big toe
4. MP joint of thumb

Correct answer: 3. MP joint of the big toe

Explanation: Most common joint involved in gout is big toe, i.e. metatarsophalangeal joint of great toe.